A 45 year old male complains of pain on biting in the previously filled tooth. He had got the tooth restored with amalgam a week ago. The clinician takes the marks on the restoration with the help of articulating paper. Which of the following statements about the occlusal mark reduction is true?
1. Deeply colored areas are reduced
2. Light colored centres are reduced
3. Both are reduced
4. None of the above are reduced

Correct answer: 3. Both are reduced

Explanation: It is essential that the teeth be completely dry for proper marking with articulating paper. The patient is advised not to bite firmly because of the danger of fracturing the restoration, which is weak at this stage. The operator should visually assess the contact potential of the restored tooth and the extent of closure. If local anesthesia is still present, it may be difficult for the patient to tell when the teeth are in contact. After the patient has reopened the mouth and the articulating paper is removed, the following two features of the occlusal relationship suggests that the restoration is high:

Cusp tips of adjacent teeth are not in occlusal contact, when it is known from the preoperative occlusal assessment that they should be touching.
An opposing cusp prematurely occludes with the new restoration.

Contact areas on the amalgam should be assessed by the color imparted by the articulating paper. Deeply colored areas (heavy contacts) and those with light-colored centres (even heavier contacts) are reduced until all markings are uniformly of a light hue, and contacts are noted on adjacent teeth. Heavy occlusal contacts are commonly referred to as “prematurities” or “high spots”. Observing the bite opening between nearby teeth when the restoration is in contact indicates how much occlusal adjustment is indicated.
Sturdevant operative dentistry  7th E D I T I O N, Page No:131